The impression material that is mainly composed of sodium or potassium salts of alginic acid is _____.
1. Polyether
2. Irreversible hydrocolloid
3. Polyvinyl siloxane
4. Polysulfide

Correct answer: 2. Irreversible hydrocolloid

Explanation: Irreversible hydrocolloid (IH) or alginate is the material of choice to produce diagnostic casts. Its composition is mainly sodium or potassium salts of alginic acid. They react chemically with calcium sulfate to produce insoluble calcium alginate.